Metarterioles, vessels interposed between arterioles and capillary beds.
1. Function to control blood flow into arterioles.
2. Receive blood from thoroughfare channels
3. Possess precapillary sphincters.
4. Possess a complete layer of smooth muscle cells in their tunica media.

Correct answer: 3. Possess precapillary sphincters.

Explanation: The proximal portion of a central channel is known as a metarteriole, whereas its distal portion is the thoroughfare channel. Blood from metarterioles may enter the capillary bed if their precapillary sphincters are relaxed. If the precapillary sphincters of metarterioles are constricted, blood bypasses the capillary bed and flows directly into thoroughfare channels and from there into a venule.